Autoimmune thyroiditis is associated with all except
1. DM
2. Mysthenia gravis
3. SLE
4. Psoriasis

Correct answer: 4. Psoriasis

Explanation: People with Auto immune thyroiditis are at an increased risk of development of other auto immune diseases : -endocrine :type 1 diabetes,auto immune adrenalitis -neurons endocrine :SLE,myasthenia gravis,Sjogrens syndrome. (Ref:ROBBINS text book of pathology)